What is the working time of amalgam?
1. One to two minutes
2. Three to four minutes
3. Five to six minutes
4. Seven to eight minutes

Correct answer: 2. Three to four minutes